In children best remodelling is seen in fracture with -
1. Angulation in diaphysis
2. Angulation in metaphysis
3. Rotation in diaphysis
4. Rotation in metaphysis

Correct answer: 2. Angulation in metaphysis

Explanation: Metaphyseal fractures has more remodelling capacity than diaphyseal fractures.
Angular deformity (especially in the plane of motion of a joint) has better remodeling capacity than rotational deformity.